The term 'id' was coined by
1. Freud
2. Skinner
3. Wayker
4. Blueler

Correct answer: 1. Freud

Explanation: In 1923, in 'The Ego and The Id', Freud divided the mental apparatus into three dynamic structures: the id, the ego and the super-egoThe IdThe id is theorised to be the original state of human mental apparatus with which a newborn baby is born. It is totally unconscious, containing the basic drives and instincts concerned with survival, sexual drive and aggression. It is characterised by primary process thinking and is based on the pleasure principle, lacking any direct link with reality. The only urge of these drives is immediate gratification. Ref: A Short Textbook of Psychiatry, Niraj Ahuja, 7th Edition, pg. no.206